Niacin is synthesized from:
1. Tryptophan
2. Tyrosine
3. Methionine
4. Phenyl alanine

Correct answer: 1. Tryptophan

Explanation: Ans: aRef: Park, 17th ed, p. 420 & 18th ed, p. 446